In Mitral valve prolapse, HPE shows -
1. Hyaline degeneration
2. Elastic degeneration
3. Myxomatous degeneration
4. Fibrinoid necrosis.

Correct answer: 3. Myxomatous degeneration